In all of the following increased cardiac silhouette sign is seen except -
1. Tetralogy of Fallot's
2. Pericardial effusion
3. Aortic regurgitation
4. Ebstein anomaly

Correct answer: 1. Tetralogy of Fallot's

Explanation: Pericardial effusion, Aortic regurgitation and Ebstein anomaly cause cardiomegaly (increased cardiac silhouette).
In TOF, there is normal size cardiac silhouette.